All of the following statements regarding ductus deference are true except
1. The terminal part is dilated to form ampulla
2. It crosses ureter in the region of ischial spine
3. It passes lateral to inferior epigastric artery at deep inguinal ring
4. It is separated from the base of bladder by the peritoneum

Correct answer: 4. It is separated from the base of bladder by the peritoneum

Explanation: The ductus deferens is the continuation of the tail of the epididymis and runs in the spermatic cord through the scrotum, inguinal canal and into the abdominal cavity, where it is extra-peritoneal. There it travels laterally through the pelvis, passing anterior to the ureter and inferior to the bladder, where it unites with the duct of the seminal vesicle to form the ejaculatory duct in the prostate In the prostate, the ejaculatory duct empties into the prostatic urethra. Ref - BDC 6th edition Vol2 pg227